A newborn presenting with intestinal obstruction and constipation showed, on abdominal X ray, multiple air fluid levels. The diagnosis is not likely to be:
1. Pyloric obstruction
2. Duodenal atresia
3. Ileal atresia
4. Ladd's bands

Correct answer: 1. Pyloric obstruction

Explanation: In Pyloric obstruction there will be only single air fluid level. For multiple air fluid levels on X ray obstruction should be distal to duodenal bulb. Ref: Walker's Pediatric Gastrointestinal Disease: Physiology, Diagnosis and Management By Ronald E. Kleinman, 2008, Page 122